Popliteal artery injury is commonly seen in which type of traumatic knee dislocation?
1. Anterior dislocation
2. Posterior dislocation
3. Medial dislocation
4. Lateral dislocation

Correct answer: 2. Posterior dislocation

Explanation: *Make it very clear in your mind that popliteal artery injury can occur with both anterior and posterior dislocation of knee. But it is more common in posterior dislocation. Clinical evaluation : (vascular exam) -Measure Ankle-Brachial Index (ABI) if ABI >0.9 >>>> then monitor with serial examination if ABI <0.9 >>>> -If pulses are absent or diminished confirm that the knee joint is reduced or perform immediate reduction and reassessment - Immediate surgical exploration if pulses are still absent following reduction 'schema time >8 hours has amputation rates - If pulses present after reduction then measure ABI then consider observation vs. angiography Clinical evaluation : (vascular exam) -Priority is to rule out vascular injury on exam both before and after reduction serial examinations are mandatory. - Palpate the dorsalis pedis and posterior tibial pulses if pulses are present and normal , >> it does not indicate absence of arterial injury. Ref: Campbell's 13th/e p.2257